Bryce sign seen in
1. Laryngouell
2. Post cricoids carcinoma
3. Down's syndrome
4. Acute tonsillitis

Correct answer: 1. Laryngouell

Explanation: On compression of sxternal swelling of laryngoule cause escape of air through larynk causing hissing of sound is know as Bryce sign.